All of the followings are type of fingerprinting except:
1. Arch
2. Loop
3. Composite
4. Circle

Correct answer: 4. Circle

Explanation: D i.e. Circle